Candida is most often implicated in causation of
1. Conjunctivitis
2. Tinea capitis
3. Desert rheumatism
4. Thrush

Correct answer: 4. Thrush

Explanation: Candida infection causes mucosal lesion like vaginitis and oral thrush. oral thrush found commonly in bottle-fed infants and aged and debilitated. This condition is characterised by creamy white patches appear on the tongue and buccal mucosa following removal, this leaves a red oozing surface. Tinea capitis is caused by dermatophytes. Ref: Textbook of Microbiology, Ananthanarayan and Paniker; 9th edition